Which of the following is not a complication of mumps:
1. Orchitis
2. Oophoritis
3. Encephalitis
4. None

Correct answer: 4. None

Explanation: Ans. D i.e. None of the option Known complications of mumps include: Mumps viral infections in adolescent and adult males carry an up to 30% risk that the testes may become infected (orchitis or epididymitis), which can be quite painful; about half of these infections result in testicular atrophy, and in rare cases sterility can follow. Spontaneous abortion in about 27% of cases during the first trimester of pregnancy. Mild forms of meningitis in up to 10% of cases (40% of cases occur without parotid swelling) Oophoritis (inflammation of ovaries) in about 5% of adolescent and adult females, but fertility is rarely affected. Pancreatitis in about 4% of cases, manifesting as abdominal pain and vomiting Encephalitis (very rare, and fatal in about 1% of the cases when it occurs) Profound (91 dB or more) but rare sensorineural hearing loss, uni- or bilateral. Acute unilateral deafness occurs in about 0.005% of cases Thyroiditis, neuritis, hepatitis, myocarditis etc.